For FITTER the shortest needle length in Pens should be....... mm?
1. 4
2. 5
3. 6
4. 8

Correct answer: 1. 4

Explanation: Ans. A. 4FITTER a congress which made new guidelines to help people on injections & pumps in Diabetes. We should use the shortest needle size (4mm for pens & 6mm for syringes].